Which of the following disease is associated with loss of the disc space and vertebral bone?
1. Multiple myeloma
2. Tuberculosis
3. Metastasis
4. Lymphoma

Correct answer: 2. Tuberculosis